Which is NOT an oncogenic virus -
1. HTLV - 1
2. Herpes simplex
3. Papilloma virus
4. HBV

Correct answer: 2. Herpes simplex

Explanation: it is not a oncogenic virus REF:ANANTHANARAYANAN TEXT BOOK OF MICROBIOLOGY 9EDITION PGNO. 467